Kussumauls breathing
1. Metabolic alkalosis
2. Respiratory alkalosis
3. Respiratory acidosis
4. Metabolic acidosis

Correct answer: 4. Metabolic acidosis

Explanation: Rapid,deep(Kussmaul) breathing usually implies metabolic acidosis but may also occur with pontomesencephalic lesions. Ref:Harrison's medicine -18th edition,page no:2251.